Isovolumic relaxation phase of the cardiac cycle ends with :
1. Peak of 'C' waves
2. Opening of A.V. valve
3. Closure of semilunar valve
4. Beginning of wave.

Correct answer: 2. Opening of A.V. valve

Explanation: B i.e. Opening of A.V. value Valvular event (valves) Cardiac events ECG JVP (Jugular venous Pressure curve) Opening of AV End of End of T V-Y descentQ valveQ isovolumic relaxation phaseQ waveQ (phase b/w T wave and new p wave) Closure of AV -End of diastole Later half of End of 'x' valve - Beginning of isovolumic contraction R wave descent Opening of semilunar valve End of isovolumic contractionQ ST segment Peak of 'C' wave Closure of - Beginning of Later half of semilunar valve isovolumic relaxation T wave Phase - Beginning of diastole